Gluconeogenesis occurs in -
1. Muscle
2. Neurons
3. Spleen
4. Liver

Correct answer: 4. Liver

Explanation: Ans. is 'd' i.e., Liver* Gluconeogenesis is a process by which we synthesise glucose from non carbohydrate precursors* It is a reversal of glycolysis.* Gluconeogenesis occurs in liver and kidney.* In liver, glycerol, lactate and alanine are the principal substrates of gluconeogenesis.* In kidney, glycerol, glutamine and lactate are the principal substrates of gluconeogenesis.* Pyruvate carboxylase, Phosphoenol pyruvate carboxykinase (PEPCK), Fructose 1,6 bisphosphatase and glucose 6 phosphatase are the key enzymes of gluconeogenesis* Pyruvate carboxylase is located in mitochondria. PEPCK and Fructose 1,6 bisphosphatase are in cytoplasm and glucose 6 phosphatase is located in endoplasmic reticulum* Any substance which on catabolism can give rise to a glycolytic intermediate or a citric acid cycle intermediate (other than acetyl CoA) can act as gluconeogenic substrates.* Even chain fatty acids are never gluconeogenic, because they give rise to acetyl CoA* Odd chain fatty acids can be gluconeogenic, because they give rise to propionyl CoA. Propionyl CoA can give rise to succinyl CoA and succinyl CoA can get into citric acid cycle and can act as a gluconeogenic substrate.